A-65 years alcoholic suffering from diabetes has a flexion deformity at the right little finger over the metacarpophalangeal joint of around 15 degrees. The ideal management for him would be -
1. Observation
2. Percutaneous fasciotomy
3. Subtotal fasciectomy
4. Total fasciectomy

Correct answer: 1. Observation

Explanation: The information in this question are:-


Patient is alcoholic and diabetic (both are risk factors for Dupuytren's contracture).
Flexion deformity at MCP joint of little finger.
Patient is old (65 years).


The Diagnosis is Dupuytren's contracture.
The only effective treatment is by operation; however, operation is not necessary in every case; a contracture that is not progressing rapidly is often better left alone, especially in an elderly patient.
Primary indication for surgery is fixed contracture of > 30° at metacarpophalangeal joint or > 15° at proximal interphalangeal joint.